A 40 years old female is came in the department by describing "1 have worst headache of my life". The investigation of choice for this patient
1. Four vessels carotid angiography
2. Computed tomography (CT)
3. MRI
4. No scan is required

Correct answer: 2. Computed tomography (CT)

Explanation: Answer- B. Computed tomography (CT)It is a case of "acute subarachnoid hemorrhage".The explosive onset of severe, excruciating headache is a common feature of subarachnoid haemonhage (SAH).Diagnosis of Subarachnoid hemorrhageThe hallmark of aneurysmal rupture is blood in the cerebrospinalfluid.More than 95% cases have enough blood to be visualized on a high quality non contract CT scan obtained within 72h.MRI can also be used to diagnose subarachnoid hemorrhage but CT is more sensitive than MRI for acute blood